A person riding a mountain bike on a rustic trail hits a rut, the fork of the bike breaks and the person is thrown into a tree, severely fracturing the upper end of his humerus. During the repair the surgeon ties off the artery traveling through the quadrangular space to stop the hemorrhage. Which artery did he ligate?
1. Dorsal scapular
2. Posterior circumflex humeral
3. Scapular circumflex
4. Subscapular

Correct answer: 2. Posterior circumflex humeral

Explanation: The quadrangular space is bounded medially by the long head of the triceps tendon, laterally by the humerus, superiorly by teres major, and inferiorly by teres minor. It is traversed by the axillary nerve and the posterior humeral circumflex artery. The triangular space is medial to the quadrangular space and it is bounded laterally by the tendon of the long head of the triceps, superiorly by teres minor, and inferiorly by teres major. The circumflex scapular artery, which is a branch of the subscapular artery, traverses this space. The dorsal scapular artery and suprascapular artery contribute to the scapular anastomosis with the circumflex scapular artery, but neither of these vessels are in the quadrangular or triangular spaces.